Bilateral edentulous area present posterior to the
remaining teeth can be classified as Kennedy's
1. Class I
2. Class II
3. Class III
4. Class IV

Correct answer: 1. Class I